Which of the following mutations in a tumour suppressor agent causes breast carcinoma:-
1. p43
2. p53
3. p73
4. p83

Correct answer: 2. p53

Explanation: . p53